Which of the following therapy is used in treatment of borderline personality disorder?
1. Modeling
2. Cognitive behavioural therapy
3. Dialectical behaviour therapy
4. Exposure and response prevention

Correct answer: 3. Dialectical behaviour therapy

Explanation: Psychotherapy(Dialectical behaviour therapy) is most effective in treatment of Borderline PD. Apart from it antidepressants , antipsychotics and carbamazepine can be used. Psychotherapies for Borderline Personality Disorder: Dialectical Behavior Therapy Mentalization Based Therapy (NIMHANS 2018) Transference Focused Psychotherapy